The flutes of McSpadden Compactor are similar to:
1. Lentulo Spiral fillers
2. Engine driven reamers
3. Flutes of Hedstorem in reverse
4. K-Flex file

Correct answer: 3. Flutes of Hedstorem in reverse